Carcinoma of the lip is characterized by the following except that -
1. 90% of the lip cancers occur on the lower lip
2. The most common site of origin is the vermillion border
3. 2 cm X 2 cm cell carcinomas can be treated by V shaped excision and primary closure
4. Since lymph noded metastases are common after a radical dissection of neck is mandatory

Correct answer: 4. Since lymph noded metastases are common after a radical dissection of neck is mandatory

Explanation: Lymph node metastases in lip cancer is not common. Seen in less than 10% cases.

Most common site of lip cancer is lower lip (88 to 98%) > upper lip (2 to 7%) > oral commissure (1%).
Most common cancer is squamous cell carcinoma.
Most common cancer for upper lip is Basal cell carcinoma.